Fibroblast in healing wound contains large quantities of which of the cell parts?
1. Nucleoli
2. Rough endoplasmic reticulum
3. Free non membranous bound ribosomes
4. Smooth endoplasmic reticulum

Correct answer: 2. Rough endoplasmic reticulum

Explanation: Fibroblast in healing wound contains more number of rough endoplasmic reticulum.